Which is not a content of tympanic cavity :
1. Maleus
2. Chorda tympani
3. Stapedius
4. Post. auricular N

Correct answer: 4. Post. auricular N

Explanation: Contents of middle ear or tympanic cavity are auditory ossicles (malleus, incus, and stapes), stapedius & tensor tympani muscles, chorda tympani nerve0 (a branch of 70 cranial nerve) and tympanic plexus of nerves.